PACS in medical imaging stands for –
1. Planned archiving common system
2. Planned archiving computerized system
3. Picture archiving and communication system
4. Picture archiving or computerized system

Correct answer: 3. Picture archiving and communication system

Explanation: PACS stands for picture archiving and communications systems.